Excessive intake (hypervitaminosis) of which of the following vitamin is associated with increased risk of congenital malformations -
1. Vitamin-A
2. Biotin
3. Folic acid
4. Vitamin-K

Correct answer: 1. Vitamin-A

Explanation: Ans. is 'a' i.e., Vitamin A o It is absolutely contraindicated in pregnancy, as it is highly teratogenic; upto 25% exposed foetuses had birth defects-craniofacial, heart, and CNS abnormalities.